Shenton's line is a radiological line used to determine the pathology of:
1. Hip
2. Ankle
3. Elbow
4. Shoulder

Correct answer: 1. Hip

Explanation: Shenton's line is an imaginary semi-circular line joining medial cortex of the femoral neck to lower border of the superior pubic ramus. Shenton's line is broken in posterior dislocation of the hip. Ref: Essential Orthopedics by Maheshwari, 3rd edition, Page 111.